The following cereals should be avoided in patients with Celiac disease except
1. Wheat
2. Barley
3. Maize
4. Rye

Correct answer: 3. Maize

Explanation: It is a disease characterised by increased sensitivity to a protein called Gliadin present inthe grains like wheat, oat, barley, and rye, resulting in T cell mediated chronic inflammatory reaction in the small intestine and impaired absorption. It is associated with HLA-DQ2 or HLA-DQ8